EMLA constituent is -
1. Lidocaine + Cocaine
2. Lidocaine + Prilocaine
3. Lidocaine + Bupivacaine
4. Bupivacaine + Prilocaine

Correct answer: 2. Lidocaine + Prilocaine

Explanation: Ans. is 'b' i.e., Lidocaine + Prilocaine Eutectic mixture of local Anaestheticso This is unique topical preparation which can anaesthetise intact skin.o It is a mixture of 2.5% lidocaine and 2.5 prilocaine.o It acts slowly and the cream must held in contact with skin for at least l hour.o EMLA is used : to make venepuncture painless especially in children, and for procedure like skin grafting & circumcision.o As systemic absorption of prilocaine can cause methemoglobinemia, EMLA should not be used on mucocutaneous membrane or in very small child.